Most definitive diagnosis of sinusitis is by
1. X- ray PNS
2. Proof puncture
3. Sinuscopy
4. Transillumination test

Correct answer: 3. Sinuscopy

Explanation: Sinuscopy is a method of Endoscopic sinus observation or surgery using Nose telescope. It involves the evaluation of nasal and sinus passages using the endoscope called Sinuscope. The Sinuscope has a narrow tube with a built-in camera so that the physician can see the internal details of the sinuses. By observing the sinus, it is possible to diagnose the problems and treat properly.